Conversion of uroporphyrinogen III to coproporphyrinogen III is an example of
1. Deamination
2. Decarboxylation
3. Hydrogenation
4. Dehydrogenation

Correct answer: 2. Decarboxylation

Explanation: (Refer Q 26)